A 55-year-old man is presents with chest discomfort, fatigue, and palpitations. His blood pressure is 85/50 mm Hg and heart rate is 140 beats per minute. Which of the following is the best treatment for this patient?
1. Digoxin
2. Calcium channel blocker
3. Coumadin
4. Cardioversion

Correct answer: 4. Cardioversion

Explanation: Always cardiovert any unstable patient (congestive heart failure), chest pain, hypotension) with atrial fibrillation. If the patient has atrial fibrillation and a rapid rate associated with severe heart failure or cardiogenic shock, emergency direct-current cardioversion is indicated. For patients with atrial fibrillation associated with rapid rate but with stable hemodynamics, attempts to achieve acute rate control are indicated. Drugs to slow the ventricular rate in patients with atrial fibrillation include digitalis preparations, calcium channel blockers (verapamil or diltiazem), and beta-blockers. If rapid rate control is desired, then calcium channel blockers and beta-blockers are far more effective than digitalis, which may require many hours before rate control is achieved. Ref: Scheinman M.M. (2009). Chapter 21. Atrial Fibrillation. In M.H. Crawford (Ed), CURRENT Diagnosis & Treatment: Cardiology, 3e.